Test tube baby is produced by :
1. Sperm and ovum are directly implanted into fallopian tube
2. Sperm and ovum are fertilized in test tube and implanted
3. Fetus is grown in test tube
4. Only sperm is transferred

Correct answer: 2. Sperm and ovum are fertilized in test tube and implanted

Explanation: Ans. is b i.e. Sperm and ovum are fertilized in test tube and implanted "In vitro fertilization is a medical technique in which a woman's egg is placed with her husband's sperm in a laboratory environment to promote fertilization. The result is so called test-tube baby."